ALL -L3 resembles
1. Mantle cell lymphoma
2. MDS
3. Burkitt's lymphoma
4. AML

Correct answer: 3. Burkitt's lymphoma

Explanation: Ans. is 'c' i.e., Burkitt's lymphoma Acute lymphoblastic leukemia (ALL) encompasses a group of neoplasms composed of immature, precursor B (Pre-B) or T (Pre-T) lymphocytes referred to as lymphoblast.Cellular classification :- French-American-British (FAB) system divides ALL into three morphological subtypes :?Ll lymphoblasts : It is most common type and has better prognosis. Cells have scanty cytoplasm and inconspicuous nuclei.L2 lymphoblasts : Cells are large and more pleomorphic in size with abundant cytoplasm and prom inant nucleus.L3 lymphoblasts : It is least common type. It is identical to Burkitt's lymphoma, i.e. Mature B-cells.